A sexually active lady came with profuse yellowish frothy discharge with intense itching. On local examination of the vagina a 'strawberry' like cervix is revealed. What condition she is likely suffering from?
1. Candidiasis
2. Trichomonas vaginitis
3. Bacterial vaginosis
4. Gonorrhea

Correct answer: 2. Trichomonas vaginitis

Explanation: Trichomoniasis Caused by Trichomonas vaginalis - flagellate protozoan motile organism Symptoms: severe itching and severe pruritis ColpitisMacularis (Strawberry Vagina) Greenish yellow,frothy discharge Rx:Metronidazole Rx both female and male partner